Spring ligament is also called
1. Calcaneonavicular ligament
2. Calcaneocubiod ligament
3. Transverse tibiofibular ligament
4. Talocaleaneal ligament

Correct answer: 1. Calcaneonavicular ligament

Explanation: SPRING LIGAMENT:- Also known as plantar calcaneonavicular ligament. Attachments-Anteriorly: plantar surface of navicular bone.Posteriorly: anterior margin of sustentaculum tali. Head of talus directly rests on upper surface of the ligament. The plantar surface of the ligament is supported by tendon of tibialis posterior medially, and by tendons of flexor hallucis longus and flexor digitorum longus laterally. Most important ligament for maintaining the medial longitudinal arch of foot. CALCANEOCUBOID LIGAMENT:- Short and long plantar ligament. Long plantar ligament- attached posteriorly to the plantar surface of the calcaneum,and anteriorly to the lips of the groove on the cuboid bone and to the bases of the middle three metatarsals. It converts the groove on the plantar surface of cuboid into a tunnel for the tendon of the peroneus longus.Morphologically it represents divorced tendon of the gastrocnemius. Short plantar ligament: broad and strong ligament extending from the anterior tubercle of the calcaneum to the plantar surface of the cuboid. TRANSVERSE TIBIOFIBULAR LIGAMENT:-Interosseous ligament.Inferior tibiofibular ligament bridges the gap between tibia and fibula behind the talus. TALOCALCANEAL LIGAMENT:-Lateral, medial and interosseous ligaments. Interosseous talocalcanean ligament is thick and very strong. Chief bond of union between talus and calcaneum.It occupies sinus tarsi,and separates the talocalcanean joint from talocalcaneonavicular joint. It becomes taut during eversion. {Reference:BDC 6E pg}